The age and sex structure of a population may be best described by a:
1. Life table
2. Correlation coefficient
3. Population pyramid
4. Barchart

Correct answer: 3. Population pyramid

Explanation: Ans. is 'c' i.e. Population pyramidRef. S.P.M. Park 20th/e, p 414, 18th/e, p. 352 (17th/e P328), Gupta Mahajan 3rd/e p407The age and sex distribution of a population is best represented by population pyramidIn countries with high birth rates as ours, it is broad based conical pyramid because of high birth rate and tapering of population with increase in age.In countries with low birth rate, the pyramid swells in the middle and is narrow at the base and is not so conical at the top. (dumb bell shaped).